What is primary G.P. point:
1. Master point
2. Paper point
3. Initial file taken for working length determination.
4. None of the above.

Correct answer: 1. Master point

Explanation: The primary G.P. point used to seal the canal is called Master point or primary emulsion.